Progressive damage in a cell including the DNA leads to:
1. Necrosis or Apoptosis
2. Atrophy
3. Metaplasia
4. Calcification

Correct answer: 1. Necrosis or Apoptosis

Explanation: Decreased nutrients lead to atrophy.
Chronic irritation leads to metaplasia.